Aphasia which affects the arcuate fibres is called
1. Global aphasia
2. Anomie aphasia
3. Conduction aphasia
4. Broca's aphasia

Correct answer: 3. Conduction aphasia

Explanation: Ans. is 'c' i.e., Conduction aphasia Arcuate fibers are bundle of nerve fibres that connect Brocas area to the Wernicke 's area. Damage to the arcuate fasciculus causes a disorder called conduction aphasia